Most potent stimulus for secretin
1. Acid chyme
2. Dilation of intestine
3. Fat
4. Protein

Correct answer: 1. Acid chyme

Explanation: Acidic chyme is the most potent stimulus for secretin Ref: guyton and hall textbook of medical physiology 12 edition page number:416,417,418